Common source of staph in hospital :
1. IV fluids
2. Infective wounds
3. Instruments
4. Bed linen

Correct answer: 2. Infective wounds

Explanation: MC mode of spread of S. aureus infection is via hands of health care workers.
S. aureus is MC cause of surgical wound infection and can cross infect wound of other patient too.
Most effective mode of prevention of nosocomial S. aureus infection is hand washing.